Which of the following is not a phagocytic cell -
1. Macrophages
2. Kupffler cells
3. NK cells
4. Neutrophils

Correct answer: 3. NK cells

Explanation: Ans. is 'c' i.e., NK cells* Micro-organisms entering the tissue fluid or blood stream are very rapidly engulfed by the cells called phagocytes.* Phagocytic cells are of two types:1) Mononuclear macrophages: Monocytes (blood), histiocytes (tissues), alveolar macrophages (lung), kupffer cells (liver), microglia (brain), osteoclasts (bone), and mesangial cells (kidney).2) Polymorphonuclear microphages: Neutrophils.* Basophils also belong to polymorphonuclear microphages but they are not phagocytes.* Eosinophils have only a limited degree of phagocytic activity.